Which statement best describes the planes of the abdomen?
1. The transpyloric plane lies halfway between the xiphoid and the symphysis pubis
2. The transpyloric plane passes through the hilum of the kidneys.
3. The subcostal plane is at the level of the body of L2
4. The iliac crests lie at the level of L5.

Correct answer: 2. The transpyloric plane passes through the hilum of the kidneys.

Explanation: * The transpyloric plane passes through the following structures: Hilum of kidneys, Pylorus, Pancreatic neck, Duodenojejunal flexure and Fundus of the gall bladder. The spinal cord also ends at the level of the transpyloric plane. Other options: *The transpyloric plane (of Addison) lies halfway between the suprasternal notch and the symphysis pubis, approximately a hands breadth below the xiphoid. It is at the level of L1. * The subcostal plane is at the level of the body of L3 and joins the lowest point of the costal margin, the lower border of the 10th costal cartilage, of each side. * Iliac crests lie at the level of L4. It is a landmark used in performing a lumbar puncture. The tubercle of the ilium lies at the level of L5.